Early movement for surgery following ankylosis is
1. Harmful
2. Desirable
3. Unimportant
4. Indicated only when ankylosis is one sided

Correct answer: 2. Desirable